Most common tumor of small bowel in children:
1. Lymphoma
2. Carcinoma
3. Leiomyosarcoma
4. Adenocarcinoma

Correct answer: 1. Lymphoma

Explanation: SMALL - BOWEL NEOPLASM MC tumor of small bowel : Stromal tumor> Adenoma MC tumor of small bowel in children: Lymphoma MC malignant tumor of small bowel: Adenocarcinoma >Carcinoid MC site of small bowel malignancy, carcinoids, lymphoma: Ileum